The manufacturing unit of surgical needle & sutures are sterilized by?
1. Gamma-Rays
2. X-Rays
3. Autoclaving
4. Boiling

Correct answer: 1. Gamma-Rays